Which form of Carbohydrate is present in Glycoprotein ?
1. Monosaccharide
2. Sugar alcohol
3. Homo Polysaccharide
4. Hetero Polysaccharide

Correct answer: 1. Monosaccharide

Explanation: Option a : Glycoprotein either contains monosaccharide or Oligosaccharide but never polysaccharide Proteoglycan Glycoprotein Carbohydrate >>>> Protein Protein >>>> Carbohydrate Carbohydrate portion is always a Heteropolysaccharide Carbohydrate portion is either a Monosaccharide or Oligosaccharides (Never a Polysaccharide) Carbohydrate is long and linear Carbohydrate is short and highly branched e.g. Aggrecan, Syndecan e.g. Collagen